A young man with known history of heroine addiction is brought in the emergency in unconscious state by his friends. On examination his pupil are pin point. What will be the treatment of choice
1. Oral naltrexone
2. IV naloxone
3. Oral diazepam
4. Oral buprenorphine

Correct answer: 2. IV naloxone

Explanation: Ans. b. IV naloxone IV naloxone is the treatment of choice in Opioid overdose. So, in this patient with suspected Opioid (heroine) overdose, treatment of choice is IV naloxone Treatment of Opioid Overdose Treatment of opioid overdose requires: Naloxonedeg: 0.4-2.0 mg IV or IM with expected response within 1-2 minutes Support of vital functions: Oxygen and positive pressure breathing IV fluids Presser agents for hypotension Cardiac monitoring to detect QT prolongation Opioid Withdrawal Syndrome Yawningdeg, Insomnia, Dysphoric mood Water loss from different orificesdeg (Lacrimationdeg, sweatingdeg, diarrheadeg, vomiting, rhinorrheadeg) Increased vitalsdeg (BP, Pulse, RR, Temperature)deg Pupilary dilation, piloerectiondeg DOC in withdrawal syndrome Methadone (1St choice) Clonidine (2'd choice) Pupillary reaction Miosis (Constricted pupil) Carbolic aciddeg Chloral hydratedeg Morphine (opium)deg Organophosphorus poisoning deg Barbituratesdeg Pontine hemorrhagedeg Muscarine Nicotine Mydriasis (Dilated pupi Viper venomdeg Dhaturadeg Alcoholdeg Aconitedeg Nux vomicadeg Cyanide, cocaine, COdeg Chloroform Ether Pethidine